Two screening tests in series will increase
1. Sensitivity alone
2. Specificity alone
3. Both Sensitivity and Negative predicative value
4. Both Specificity and Positive predicative value

Correct answer: 4. Both Specificity and Positive predicative value

Explanation: Condition 1 Condition 2 Test A,B,C,D,E (Screening Test in series ) Test A | B | C | D | E ** | Specificity & PPV | Sensitivity & NPV (Screening test in Parallel) (Together) * | A B C D E (Together) ** | Sensitivity & NPV | Specificity & PPV